Lateral food impaction occurs mainly due to
1. Un even alteration of occlusal surface
2. Open proximal contact
3. Open gingival embrasure
4. All of the above

Correct answer: 3. Open gingival embrasure